Arterial supply of Submandibular gland
1. Lingual artery.
2. Facial artery.
3. ECA
4. Sublingual arteries.

Correct answer: 2. Facial artery.